Which among the following is a neural tube defect
1. Diastematomyelia
2. Corpus callosal agenesis
3. Holoprosencephaly
4. Schizencephaly

Correct answer: 1. Diastematomyelia

Explanation: Diastematomyelia (split spinal cord) is an example of neural tube defect.